Selective beta 2 blocker is -
1. Butoxamine
2. Betoxolol
3. Esmolol
4. Bisoprolol

Correct answer: 1. Butoxamine

Explanation: Ans. is 'a' i.e., Butoxamine Selective b1 blockers are (cardioselective)1. Atenolol3. Bisoprolol5. Celiprolol7. Metoprolol2. Acebutalol4. Betoxolol6. Esmolol8. Nebivololo These agents are preferred in DM, hyperlipidemia, PVD, asthma.Selective (b2Butoxamine